If thiopentone is injected accidently into an artery the first symptom is –
1. Analgesia
2. Paralysis
3. Skin ulceration
4. Pain

Correct answer: 4. Pain

Explanation: First symptom of inadverent intra-arterial injection is pain and first sign is blanching.